Several children at a summer camp were hospitalized with symptoms thought to be due to ingestion of food containing botulinum toxin. The effects of botulinum toxin are likely to include:
1. Bronchospasm
2. Cycloplegia
3. Diarrhea
4. Skeletal muscle spasms

Correct answer: 2. Cycloplegia

Explanation: Botulinum toxin interferes with the release of ACh and thus acts as a parasympatholytic agent. Bronchospasm and diarrhoea are the symptoms of muscarinic stimulation whereas muscle spasms may be seen on nicotinic stimulation. Cholinergic drugs cause cyclospasm whereas anticholinergics result in cycloplegia.